Young man whose voice has not been broken is called:
1. Puberphonia
2. Androphonia
3. Plica ventricularis
4. Functional aphonia

Correct answer: 1. Puberphonia

Explanation: Ans.: A. (Puberphonia) Puberphonia or Mutational Falsetto Voice Dhingra 5th/334Normally there is change of high pitch voice to low pitch from childhood to the adults. It occurs as the larynx matures at puberty, vocal cords lengthen & the voice changes.Failure of this change leads to persistence of childhood high pitched voice & is called puberphonia Q. It is seen in boys who are emotionally immature, feel insecure & show- excessive fixation to thier mother.This is a feature exclusive to malesTreatment is training the body to produce low-pitched voice. Pressing the thyroid prominence in a backward and downward direction relaxes the overstreched cords and low tone voice can be produce (Gutzmann's pressure test).In Dysphonia Plica Ventricularis (Ventricular dysphonia) Q Dhingra 5th/334Here voice is produced by ventricular folds (false cords) which have taken over the function of true cords.Voice is rough, low pitched & unpleasant.Functional Aphonia or Hysterical Aphonia Q Dhingra 5th/334It is a functinal disorder mostly seen in emotionally labile females in the age group of 15-30 years. Patient communicates with whisper.